Which of the following is the best bone for sex determination -
1. Pelvis
2. Skull
3. Mandible
4. Femur

Correct answer: 1. Pelvis

Explanation: Ans. is 'a' i.e., Pelvis According to Krogman, the degree of accuracy in sexing adult skeletal remains is* Entire skeleton100%* Pelvis alone95%* Skull alone90%* Pelvis plus skull98%* Long bones alone80%